The differential diagnosis for pancytopenia with cellular bone marrow include the following except -
1. Megaloblastic anemia
2. Myelodysplasia
3. Paroxysmal Nocturnal Hemoglobinuria
4. Congenital dyserythropoietic anemia

Correct answer: 4. Congenital dyserythropoietic anemia